Distal muscles of the hand needed for fine wrok are controlled by-
1. Radial nerve
2. Median nerve
3. Ulnar nerve
4. Axillary nerve

Correct answer: 3. Ulnar nerve

Explanation: Ans. is 'c' i.e., Ulnar nerve * Ulnar nerve is also known as musicians nerve as it is needed to carry out fine and precision movements of the hand.